RB gene is located on -
1. 13p
2. 13q
3. 15p
4. 15q

Correct answer: 2. 13q

Explanation: Ans. is 'b' i.e., 13q Location of Important Genes on ChromosomesGeneChromosomeGeneChromosomep73IPRET10Folate transporter21 qWT-IlipNeuroblastomaIPvWF12Rhodopsin3Retinoblastoma (RB)13qVHL3pBRCA-1I3qADPKD-24qBRCA-2I7qADC-PFibrillin-115MHC6pFibrillin-25ARPKD6NF-117qCystic fibrosis7qp5317qMET7NF-222q